Most common complication of tonsillectomy is-
1. Hemorrhage
2. Teeth injury
3. Pneumonia
4. Otitis media

Correct answer: 1. Hemorrhage

Explanation: Ans. is 'a' i.e., Hemorrhage "Post-tonsillectomy hemorrhage is the most common complication, occuring in approximately 2 to 5%, and should be taken seriously "._________Bellenger's otolaryngologyComplications of tonsillectomyo Complications of tonsillectomy may beImmediateDelayedImmediate complicationsPrimary haemorrhage : Occurs at the time of operation. It can be controlled by pressure, ligation or electrocoagulation of the bleeding vessels.Reactionary haemorrhage: Occurs within a period of 24 hours.Injury to tonsillar pillars, uvula, soft palate, tongue or superior constrictor muscle due to bad surgical technique.Injury to teeth.Aspiration of blood.Facial oedema : Some patients get oedema of the face particularly of the eyelids.Surgical emphysemaDalayed complicationsSecondary haemorrhage: Usually seen between the 5th to 10th post-operative day. It is the result of sepsis and premature separation of the membrane. Usually, it is heralded by bloodstained sputum but may be profuse.Infection : Infection of tonsillar fossa may lead to parapharyngeal abscess or otitis media.Lung complications : Aspiration of blood, mucus or tissue fragments may cause atelectasis or lung abscess.Scarring in soft palate and pillars.Tonsillar remnants : Tonsil tags or tissue, left due to inadequate surgery, may get repeatedly infected.Hypertrophy of lingual tonsil: This is a late complication and is compensatory to loss of palatine tonsils.